Drug of choice for Generalised anxiety disorder
1. Benzodiazepines
2. Buspirone
3. Sertraline
4. Olanzapine

Correct answer: 3. Sertraline

Explanation: -Selective serotonin reuptake inhibitors are the drug of choice in the treatment of generalized anxiety disorder.-Short-acting benzodiazepines such as alprazolam are used during acute episodes.Treatment:First line:-Cognitive behavioural therapy-SSRIs or SNRIsSecond-line:- Benzodiazepines- Buspirone